A 48-year-old female piano player visited the outpatient clinic with numbness and tingling in her left hand. A diagnosis was made of nerve compression in the carpal tunnel, and the patient underwent an endoscopic nerve release. Two weeks postoperatively the patient complained of a profound weakness in the thumb, with loss of thumb opposition. The sensation to the hand, however, was unaffected. Which of the following nerves was injured during the operation?
1. The first common digital branch of the median nerve
2. The second common digital branch of the median nerve
3. Recurrent branch of median nerve
4. Deep branch of the ulnar nerve

Correct answer: 3. Recurrent branch of median nerve

Explanation: The recurrent branch of the median nerve innervates the thenar muscles (opponens pollicis, abductor pollicis brevis, and flexor pollicis brevis) and is not responsible for any cutaneous innervation. Damage to the palmar cutaneous branches of the median nerve or to the ulnar nerve would not cause weakness of opposition of the thumb for they are principally sensory in function. The deep branch of the ulnar nerve supplies the hypothenar muscles, adductor and abductor muscles of digits 2-5, and does not innervate the abductor policis brevis.